Cirsoid aneurysms most commonly occur in which of the following vessels?
1. Aortic arch
2. Splenic artery
3. Saphenous vein
4. Superficial temporal artery

Correct answer: 4. Superficial temporal artery

Explanation: Congenital malformations with A-V shunting